If the radius of dentinal tubule is halved, the flow rate will decrease by:
1. 2 times
2. 4 times
3. 8 times
4. 16 times

Correct answer: 4. 16 times

Explanation: Flow rate is a function of tubule diameter,pulpal pressure difference,viscosity and tubule length. 
A two fold reduction which means making it half, results in a 16 fold reduction as per the formula.